Burst abdomen after laparotomy takes place after
1. 1-2 days
2. 7-10 days
3. Usually after 3 weeks
4. After one month

Correct answer: 2. 7-10 days

Explanation: .BURST ABDOMEN (Abdominal Dehiscence) 

It is the disruption of a laparotomy wound, occurring usually between 5th and 8th postoperative day. 
Usually, sutures opposing the deep layers, i.e. peritoneum and rectus sheath tear through, causing a burst abdomen. Treatment   
Nasogastric aspiration.  
IV fluids. 
Emergency surgery, i.e. Under anaesthesia, the wound is opened up properly.

Coils of intestines are replaced into the abdominal cavity. 
A thorough wash is given. The wound is closed by all layer sutures, passing a non-absorbable suture material through the red rubber or plastic collar — tension sutures.
(which is kept for 14 days).

Antibiotics and IV fluids are continued.
Wound usually heals well without much second dehiscence. 

The late problem, maybe the development of an incisional hernia